Breast milk during 1st day is called -
1. Mature milk
2. Transitional milk
3. Colstrum
4. Foremilk

Correct answer: 3. Colstrum

Explanation: BREAST-FEEDING Breast-feeding should be initiated within an hour of birth instead of waiting several hours as is often customary. Although there is little milk at that time, it helps to establish feeding and a close mother-child relationship, known as "bonding". The first milk which is called "colostrum" is the most suitable food for the baby during this early period because it contains a high concentration of protein and other nutrient the body needs; it is also rich in anti-infective factors which protect the baby against respiratory infections and diarrhoeal diseases. Supplementary feeds are not necessary. The regular milk comes on the third to sixth day after birth. The baby should be allowed to breast-feed whenever it wants. Feeding the baby on demand helps the baby to gain weight. It is very important to advise mother to avoid feeding bottles. Ref: Park 23rd edition Pgno : 553